Which of the following is the most common cause of insulin resistance?
1. Obesity
2. Post receptor defects
3. Liver dysfunction
4. Pancreatic dysfunction

Correct answer: 1. Obesity

Explanation: Obesity is probably the most common cause for insulin resistance. The risk for diabetes increases with BMI . It is not only the absolute amount but also the distribution of body fat that has an effect on insulin sensitivity. Central obesity(Abdoominal fat) is more likely to be linked than peripheral( gluteal fat). Obesity impacts in different ways through Free Fatty Acids , Adipokines etc.